Which of the following is not an absolute contraindication for extraction of teeth is
1. Uncontrolled diabetes
2. Uncontrolled hypertension
3. Leukemia
4. Acute abscess with tooth

Correct answer: 4. Acute abscess with tooth

Explanation: Contraindications
Even if the tooth is indicated for removal, the presence of certain factors makes the tooth contraindicated for extraction. They may be relative or absolute contraindications. They can be considered relative, if the contraindication is provided with additional care, one can overcome the complication. In other words, given the situation, the patient is made fit to undergo extraction, once the underlying condition is treated.
On the contrary, there are a few conditions which are absolute contraindications. These factors will be the impediments for extraction, even if care is taken. If extraction is carried out in the presence of such absolute contraindications, the outcome may be even fatal. Hence, it is essential to differentiate between these two types of contraindications. To avoid legal consequences, it is preferable to avoid extraction, if the contraindication is absolute.
The contraindications may also be classified as systemic or local factors. The presence of absolute systemic contraindications indicates that this group of diseases exists in an uncontrolled state. No attempt should be made by the dental surgeon to thrust extraction on such patients. By doing so the clinician will be inviting disaster, e.g.

metabolic disorders like uncontrolled diabetes,
uncontrolled cardiac problems,
leukemia,
renal failure and
liver disorders like cirrhosis of liver.

Local contraindications: The most common local contraindication is an ongoing acute inflammatory or infectious process. The acute infection/inflammation should first be treated before proceeding with the extraction, depending on the location of the acute process. Extraction of a third lower molar during an ongoing acute pericoronitis could lead to a lifethreatening postoperative infection. However, there are also situations where an acute abscess is best drained by extraction of the tooth even in an acute phase. An acute infectious process caused by pulpal disease is resolved most quickly by extraction of the tooth. Therefore an acute infectious and inflammatory process should not be considered as an absolute contraindication for extraction